Charcoat's joint includes all of the following EXCEPT:
1. Neurosyphilis
2. Leprosy
3. Diabetes
4. Arthrogryposis multiplex congenita

Correct answer: 4. Arthrogryposis multiplex congenita

Explanation: Ans. D i.e. Arthrogryposis multiplex congenita Ahrogrypsosis multiplex congenita is a disorder of defective development of the muscles; the muscles are fibrotic and result in foot deformities, and deformities of other joints